Which amino acid migrates fastest on chromatography on carboxy methylcellulose medium?
1. Aspartic acid
2. Valine
3. Lysine
4. Glycine

Correct answer: 1. Aspartic acid

Explanation: Ai.e. Aspartic acidIn cation exchange chromatography solid stationary matrix has negatively charged groups (i.e. -ve charged carboxy methyl cellulose, 0 - CH2 - COO- is used as cation exchanger). So in the mobile phase, proteins with a net positive charge (i.e. cations) move slowly than those with net negative charge (anion)Q. Hence aspartate (aspartic acid) being a negatively charged amino acid will move fastest in carboxymethyl cellulose or methanol chloroform (cation exchanger) ion exchange chromatography.